The enzyme that is specifically increased in obstructive jaundice is:
1. Glutamate oxaloacetate transaminase
2. Glutamate pyruvate transaminase
3. Alkaline phosphatase
4. Acid phosphatase

Correct answer: 3. Alkaline phosphatase